Ectodermal cells in tooth bud are responsible for
1. Determination of shape of crown and root
2. Formation of periodontal ligament
3. Formation of cementum
4. Formation of pulp

Correct answer: 1. Determination of shape of crown and root